Following are the Group health education approaches except:
1. Lecture
2. Demonstration
3. Role play
4. Documentary

Correct answer: 4. Documentary

Explanation: Methods of Health communications: Individual approach Group Approach Mass Approach Personal contact Home visits Personal letters Lectures Demonstrations Discussion methods Group discussion Panel discussion Symphosium Work shop Conference Seminar Role play Television Radio Newspaper Printed material Direct mailing Posters Health museums/exhibition Folk methods Internet Ref: Park 25th edition Pgno: 926